Torquing movement in orthodontics
1. Is movement of the root without moving the crown
2. Cannot be accomplished in clinical practice
3. Is always deleterious to the tooth
4. None of the above

Correct answer: 1. Is movement of the root without moving the crown